Ramsay Hunt syndrome the cranial nerve involved is:
1. Trigeminal
2. Facial
3. Glossopharyngeal
4. Occulomotor nerve

Correct answer: 2. Facial